Following are the causes of sudden loss of vision except
1. Angle closure glaucoma
2. Endophthalmitis
3. Central serous retinopathy
4. Corneal ulceration

Correct answer: 4. Corneal ulceration

Explanation: Sudden painless loss of vision  Central retinal artery occlusion  Massive vitreous hemorrhage  Retinal detachment involving macular area  Ischaemic central retinal vein occlusion The sudden painless onset of defective vision  Central serous retinopathy  Optic neuritis  Methyl alcohol amblyopia  Non-ischemic central retinal vein occlusion Sudden painful loss of vision  Acute congestive glaucoma  Acute iridocyclitis  Chemical injuries to the eyeball  Mechanical injuries to the eyeball Corneal ulceration causes Gradual painful defective vision Reference : AK KHURANA COMPREHENSIVE OPHTHALMOLOGY, Edi4, Page-462